Kirkland knife is used for:
1. External bevel incision
2. Internal bevel incision
3. Horizontal incision
4. All of the above

Correct answer: 1. External bevel incision